The most common cause of seizures in a patient of AIDS is
1. Toxoplasmosis
2. Cryptococcal meningitis
3. Progressive multifocal leucoencephalopathy
4. CNS lymphoma

Correct answer: 1. Toxoplasmosis

Explanation: Ans. is 'a' i.e., Toxoplasmosis Neurological manifestations of H.I.V. AIDS dementia complex (HIV encephalopathy) is a result of direct effects of HIV on CNS (not an opportunistic disease). It is subcortical dementia. Most common cause of seizures --> Toxoplasma Most common cause of meningitis --> Cryptococcus M.C. cause of focal neurological deficit --> Toxoplasma Toxoplasmosis is the most common CNS infection in AIDS. CNS lymphoma and prograssive multifocal leukoencephalopathy may occur.